Which of the following is not associated with chorioamnionitis:
1. Preterm labour
2. Endometritis
3. Abruptio placentae
4. Placenta accreta

Correct answer: 4. Placenta accreta